Largest lymphoid organ is
1. Liver
2. Spleen
3. Thymus
4. Kidney

Correct answer: 2. Spleen

Explanation: (B) Spleen [BDC II4-279# Largest lymphatic organ in the human body is the spleen.> Primary function of the spleen is to purify the blood and store blood cells.> It helps the immune system identify and combat foreign antibodies.> Spleen consists of white pulp and red pulp.> White pulp generates blood cells and synthesizes antibodies, and the red pulp removes old blood cells and filters the blood.